A patient Amit Kumar is suffering from atherosclerosis. Which of the following lowing is the most beneficial drug for prevention of stroke in this patient?
1. Aspirin
2. Warfarin
3. Low dose subcutaneous herparin
4. Digoxin

Correct answer: 1. Aspirin

Explanation: Ref: KDT 6/e p610,611 Antiplatelet drugs are used for the prophylaxis of arterial thrombotic conditions like stroke and MI. Atrial fibrillation increase the risk of thromboembolism and can result in stroke.